Delirium tremens is characterized by confusion associated with:
1. Autonomic hyperactivity and tremors
2. Features of intoxication due to alcohol
3. Sixth nerve palsy
4. Karsakoff psychosis

Correct answer: 1. Autonomic hyperactivity and tremors

Explanation: A i.e. Autonomic Hyperactivity & tremors